Following cells are responsible for acid secretion in kidney
1. I cells
2. P cells
3. Mesangial cells
4. Pericytes

Correct answer: 1. I cells